Sensitivity measures:
1. True negative
2. True positive
3. False positive
4. False negative

Correct answer: 2. True positive

Explanation: Sensitivity measures true positive cases.
"The term sensitivity was introduced as a statistical index of diagnostic accuracy.
It has been defined as the ability of a test to identify correctly all those who have the disease, that is 'true positive'.”